Base substitution of GAC (Asp) to GAG (Glu) is an example of:
1. Point mutation
2. Silent mutation
3. Non-sense mutation
4. None

Correct answer: 1. Point mutation

Explanation: A i.e. Point mutation